Miliaria arises from obstruction of ?
1. Eccrine sweat glands
2. Apocrine sweat glands
3. Sebaceous glands
4. Ectopic sebaceous glands

Correct answer: 1. Eccrine sweat glands

Explanation: Ans. is 'a' i.e., Eccrine sweat glands Milliria Occur as a result of either obliteration or disruption of the eccrine sweat duct. Three forms :- Miliaria crystallina- Clear, thin-walled vesicles, 1-2 mm in diameter, without an inflammatory areola, are usually symptomless and develop in crops, mainly on the trunk. Miliaria rubra- erythematous papules especially in areas of friction with clothing, and in flexures, produce intense pricking sensation. Miliaria profunda- This nearly always follows repeated attacks of miliaria rubra, o Complications :- Secondary infection and disturbance of heat regulation